For high pressure Storage of compressed gases cylinders are made up of
1. Molybdenum steel
2. Iron + Mo
3. Steel + Cu
4. Cast iron

Correct answer: 1. Molybdenum steel

Explanation: To withstand high pressure cylinders are made up of molybdenum and steel.